All of the following methods are used for MTP in 2nd trimester except :
1. Intra-amniotic saline
2. Prostaglandins
3. Hysterotomy
4. Menstrual regulation

Correct answer: 4. Menstrual regulation

Explanation: Menstrual regulation